Which of the following disorders is least likely to be associated with a prolonged bleeding time?
1. Thrombocytopenia
2. Platelet dysfunction
3. Coagulation factor deficiencies
4. DIC

Correct answer: 3. Coagulation factor deficiencies

Explanation: ConditionProthrombin timeActivated partial thromboplastin timeBleeding timePlatelet countThrombocytopeniaUnaffectedUnaffectedProlongedDecreasedVon Willebrand diseaseUnaffectedProlonged or unaffectedProlongedUnaffectedUremiaUnaffectedUnaffectedProlongedUnaffectedHemophiliaUnaffectedProlongedUnaffectedUnaffectedFactor XII deficiencyUnaffectedProlongedUnaffectedUnaffectedC1 deficiencyUnaffectedShortenedUnaffectedUnaffectedAspirinUnaffectedUnaffectedProlongedUnaffectedCongenital afibrinogenemiaProlongedProlongedProlongedUnaffectedVitamin K deficiency or warfarinProlongedNormal or mildly prolongedUnaffectedUnaffectedLiver failure early Prolonged Unaffected Unaffected Unaffected Liver failure, end-stageProlongedProlongedProlongedDecreasedFactor V deficiencyProlongedProlongedUnaffectedUnaffectedFactor X deficiency as seen in amyloid purpuraProlongedProlongedUnaffectedUnaffectedBernard-Soulier syndromeUnaffectedUnaffectedProlongedDecreased or unaffectedDisseminated intravascular coagulationProlonged Prolonged Prolonged Decreased Glanzmann's thrombasthenia UnaffectedUnaffectedProlonged Unaffected(Refer: Harrison's Principles of Internal Medicine, 18th edition, pg no: 461-464)